Which is false about cohort study -
1. Incidence can be measured
2. Used to study chronic diseases
3. Expensive
4. Always prospective

Correct answer: 4. Always prospective

Explanation: Ans. is 'd' i.e., Always prospective